Following drug is aromatase inhibitor:
1. Raloxifine
2. Tamoxifen
3. Leuprolide
4. Letrozole

Correct answer: 4. Letrozole

Explanation: Ans. D. Letrozoleletrozole, anastrozole are aromatase inhibitor which is enzyme responsible for estrogen synthesis, this drug is indicated in estrogen receptor positive breast cancer resistant to tamoxifen. It can also be given precocious puberty.